Patella dislocation is prevented by
1. Vastus medialis
2. Vastus lateralis
3. Vastus intermedius
4. Rectus femoris

Correct answer: 1. Vastus medialis

Explanation: Vastus lateralis pulls laterally to the frontal plane of the femur at an angle of 7 to 10 degrees.The vastus medialis is divided into two pas--the vastus medialis longus (with its muscle fibers pulling at 15 to 18 degrees medially) and the vastus medialis obliquus (with its muscle fibers pulling at a relatively horizontal 50 to 55 degrees medially). The primary function of the vastus medialis obliquus muscle is to stabilize the patella against the lateral pull of the vastus lateralis, making the vastus medialis obliquus the dynamic stabilizer of the patel(Refer: Mohindra's Fundamentals of Orthopedics, 2nd edition, pg no. 178)